Most radio dense substance is -
1. Fluid
2. Soft tissue
3. Brain
4. Bone

Correct answer: 4. Bone

Explanation: Increasing order of radiodensity : AIR FAT WATER BONE METAL